All are seen in chronic bronchitis except:
1. Cough > 3 months
2. Bronchorrhea
3. Hoover sign
4. Clubbing

Correct answer: 4. Clubbing

Explanation: The most common symptoms of COPD- cough, sputum production, and exertional dyspnea. Some patients with advanced disease have paradoxical inward movement of the rib cage with inspiration (Hoover's sign), the result of alteration of the vector of diaphragmatic contraction on the rib cage as a result of chronic hyperinflation. Clubbing is not seen in Chronic bronchitis